Pulsus paradoxus is seen in all except:
1. IPPV
2. COPD
3. Cardiac Temponade
4. Constrictive pericarditis

Correct answer: 1. IPPV

Explanation: Ans. is 'a' IPPV Pulsus paradoxusIt is also known as 'pulsus normalis aggregometry to remember it by this name and you will never be confused.The important point you must remember is that there is no paradox in pulsus paradoxus, it is just an aggravation of normal process, this justifies its 2nd name.Normally there is decrease in systolic pressure during inspiration. In Pulsus paradoxus this decrease in systolic pressure in aggravated.Pulsus paradoxus is seen inPericardial tamponade*COPD*Superior venacaval obstruction*Constrictive pericarditis (1/3 cases)*